Sensory supply of middle ear cavity is by
1. 5th nerve
2. 10th nerve
3. 9th nerve
4. Greater occipital nerve

Correct answer: 3. 9th nerve

Explanation: .Sensory Innervation. The middle ear is supplied by the auriculotemporal (fifth cranial) and tympanic (ninth cranial) nerves and by the auricular branch of the vagus ref Robbins 9/e pg 567